Platelet aggregation is inhibited by all except :
1. Aspirin
2. Clopidogrel
3. Thromboxane A2
4. Eptifibatide

Correct answer: 3. Thromboxane A2